Best management after human bite:
1. Ampicillin plus sulbactam
2. Clindamycin plus TMP-SMX
3. Fluoroquinolone
4. Doxycycline

Correct answer: 1. Ampicillin plus sulbactam

Explanation: Amoxicillin-clavulanate, ampicillin-sulbactam are good choices for the treatment of animal or human bite infections. In penicillin allergic patients cefoxitin is used. The organisms incriminated are Streptococcus viridans, S.Aureus, H.influenzae, Anaerobes